Which of the following is not a centrally acting hypertensive agent
1. Methyldopa
2. Moxonidine
3. Minoxidil
4. Clonidine

Correct answer: 3. Minoxidil

Explanation: Minoxidil is a K+ opener used to treat hypertension (peripheral antihypertensives).
Methyldopa, moxinidine and clonidine are α2 agonists (central antihypertensives).